The maxillary nerve arises from the trigeminal ganglion in the middle cranial fossa. It passes forward in the lateral wall of the cavernous sinus and leaves the skull through which of the following foramen to enter the pterygopalatine fossa
1. Foramen ovale
2. Foramen spinosum
3. Foramen rotundum
4. Formen lacerum

Correct answer: 3. Foramen rotundum

Explanation: (Foramen rotundum) (236 - BDC - 3)STRUCTURE PASSING THROUGH.Foramen spinosumForamen ovaleForamen lacerum1. Middle meningeal artery2. Meningeal branch of the mandibular nerve or nervus spinosus3. Posterior trunk of the middle meningeal vein1. Mandibular nerve 2. Acessory meningeal artery 3. Lesser petrosal nerve 4. Emissary vein Internal carotid artery Foramen rotundumSuperior orbital fissureJugular foramenMaxillary division of the trigeminal nerveLacrimal, frontal, trochlear occulomotor, nasociliary and abducent nerve, superior ophthalmic vein* Glossopharyngeal* Vagus* Acessory nerve* Sigmoid sinus becomes internal jugular vein